Glycolysis is the metabolic pathway that involves 10 enzyme mediated steps. It occur in which of the following cell organelle?
1. Cytosol
2. Mitochondria
3. Nucleus
4. Lysosome

Correct answer: 1. Cytosol

Explanation: Glycolysis, the major pathway for glucose metabolism, occurs in the cytosol of all cells. Glycolysis is both the principal route for glucose metabolism and also the main pathway for the metabolism of fructose, galactose, and other dietary carbohydrates. Ref: Bender D.A., Mayes P.A. (2011). Chapter 18. Glycolysis & the Oxidation of Pyruvate. In D.A. Bender, K.M. Botham, P.A. Weil, P.J. Kennelly, R.K. Murray, V.W. Rodwell (Eds), Harper's Illustrated Biochemistry, 29e.